Blood in splanchnic area during exercise is decreased due to :
1. Venoconstriction with decreased blood flow
2. Venodilation with decreased blood flow
3. Venodilation with increased blood flow
4. Venodilation with normal blood flow

Correct answer: 1. Venoconstriction with decreased blood flow

Explanation: A i.e. Venoconstriction with decreased blood flow During vigrous exercise, constriction of vessels in splanchnic organ, and decreased blood ' storage' in liver & other portion of splanchnic bed occursQ, which may increase the volume of actively circulating blood, perfusion the muscles by as much as 30%. Contraction of the capacitance vessels in the viscera can pump a litre of blood into the arterial circulation, in less than a minute.